Scrum pox is seen among............... players ?
1. Football
2. Hockey
3. Rugby
4. Chess

Correct answer: 3. Rugby

Explanation: Ans. is 'c' i.e., Rugby